Structure passing along with the aorta in the diahragmatic opening :
1. Thoracic duct
2. Greater splanchnicn nerve
3. Sigmoid mesocolon
4. Internal iliac artery

Correct answer: 1. Thoracic duct

Explanation: A i.e. Thoracic duct